Which of the following radiological sign will be present in a young lady with symptoms suggestive of pulmonary embolism?
1. Hampton's hump
2. Westermark sign
3. Fleischner sign
4. All of the above

Correct answer: 4. All of the above

Explanation: Pulmonary infarction may occur if the pulmonary venous pressure is elevated or the bronchial arterial supply to a region is deficient. The cone-shaped area of pulmonary infarction has been called a Hampton's hump. An area of radiolucency, corresponding to diminished pulmonary vascularity distal to a pulmonary embolism, is occasionally seen and is called the Westermark sign. There may also be an increase in the size of the pulmonary artery proximal to a large central pulmonary embolus (Fleischner sign). Ref: Chiles C., Gulla S.M. (2011). Chapter 4. Radiology of the Chest. In M.Y. Chen, T.L. Pope, D.J. Ott (Eds), Basic Radiology, 2e.